Whenever the caries cone in enamel is larger or at least the same size as that in dentin, it is called as
1. Residual caries
2. Recurrent caries
3. Forward caries
4. Backward caries

Correct answer: 3. Forward caries